Isthmus of thyroid gland lies at which level -
1. C2
2. C4
3. C5
4. C7

Correct answer: 4. C7

Explanation: Ans. is 'd' i.e., C7 Scheme to show the location arsd subdivisions of the thyroid gland including the false capsule